Pulmonary fibrosis occurs most commonly by :
1. Clindamycin
2. Amiodarone
3. Nikkomycin
4. Kanamycin

Correct answer: 2. Amiodarone